Increased episcleral venous pressure can:
1. Increase IOP
2. Decrease IOP
3. No effect on IOP
4. Initially increases then decreases IOP

Correct answer: 1. Increase IOP

Explanation: Increased episcleral venous pressure Increases IOP. Decreases drainage.